Obnoxious smell and hallucination is seen in?
1. Temporal lobe lesion
2. Frontal lobe lesion
3. Parietal lobe lesion
4. Occipital lobe lesion

Correct answer: 1. Temporal lobe lesion

Explanation: Temporal lobe lesion REP: Harrison's 17th ed chapter 30 Tumors and hamartomas may induce seizures with olfactory hallucinations, indicating involvement of the uncus of the temporal lobe.